A 7 year old child presents with non productive cough, mild stridor since 6 months. On oral antibiotics, patient is improving but suddenly develops wheezing, productive cough, mild fever. X-ray shows hyperlucency and PFT shows obstructive curve. Most probable diagnosis is -
1. Post viral syndrome
2. Bronchiolitis obliterans
3. Follicular bronchitis
4. Pulmonary alveolar microlithiasis

Correct answer: 2. Bronchiolitis obliterans

Explanation: Ans. is 'b' i.e., Bronchiolitis obliterance